Most common type of lung cancer is?
1. Small cell carcinoma
2. Adenocarcinoma
3. Squamous cell carcinoma
4. Large cell carcinoma

Correct answer: 2. Adenocarcinoma

Explanation: Ans. is B Adenocarcinoma "Adenocarcinoma of the lung is the most frequent histological type". -- Sabiston Remember o Adenocarcinoma is the overall most common type of lung carcinoma. o Adenocarcinoma is the most common type of lung carcinoma in non-smokers and females o Squamous cell (epidermoid) carcinoma is the most common type of lung carcinoma in India. o Squamous cell carcinoma is the most common type of lung carcinoma in smokers and males. o M.C Variety in young Patients - Adenocarcinoma o Histological Variety that cavitates - Squamous cell Ca o M.C Histological variety to metastasize - Small cell Ca o Ca which metastasize to opposite lung - Adenocarcinoma o Clubbing least common in which Ca - Small cell Ca o Gynaecomastia is seen in which type of Ca - Large Cell Ca o Thrombophlebitis is seen with which Ca - A denocarcinoma o Most common site for metastasis from ca lung - Brain o Lung Ca with worst prognosis - Small cell Ca o Variety most responsive to chemotherapy - Small cell Ca o Variety most responsive to radiotherapy - Small cell Ca o M.C Endocrine Gland to be involved by metastasis - Adrenal o Variety with best prognosis - Squamous cell Ca o Variety that is central in location - Squamous cell & small cell Ca o Variety that is peripheral in location - Adenocarcinoma o Most common variety with Cushing s syndrome - Small cell Ca o Most common variety with Hypercalcemia d/t PTH like substance Secretion - Squamous cell Ca